Prausnitz kustner reaction is which type of hypersensitivity -
1. Type 1
2. Type 2
3. Type 3
4. Type 4

Correct answer: 1. Type 1

Explanation: Ans. is 'a' i.e., Type 1HYPERSENSITIVITYType I (IgE mediated)Type II (IgG, IgM and complement mediated)* Eczema* Blood transfusion reactions* Hay fever* Erythroblastosis fetalis* Asthma* Autoimmune hemolytic anemia or thrombocytopenia or agrnulocytosis* Atopy* Urticaria* Pemphigus vulgaris* Anaphylactic shock* Good pasture syndrome* Acute dermatitis* Bullous pemphigoid* Theobald smith phenomenon* Pernicious anemia* Prausnitz Kusnter (PK) reaction* Acute rheumatic fever* Casonis test* Diabetes mellitus* Schultz-Dale phenomenon* Graves disease * Myasthenia gravisType III (IgG, IgM, complement and leucocyte mediated)Type IV (Cell mediated)* Local-Arthus reaction* Tuberculin test* Systemic-serum sickness* Lepromin test* Schick test* Sarcoidosis* Polyarteritis nodosa (PAN)* Tuberculosis* Rheumatoid arthritis* Contact dermatitis* SLE* Granulomatous inflammation* Acute viral hepatitis* Type I lepra reaction* Penicillamine toxicity* Patch test* Hyperacute graft rejection* Temporal arteritis* Type 2 lepra reaction (ENL)* Jones mote reaction (cutaneous basophilic HSN)* Hypersensitivity pneumonitis* Graft rejection* R.A.* Fairleys test* Infective endocarditis* Frie's test* Henoch schonlein purpura * Glomerulonephritis